Recommended reflection factors include each of the following, except -
1. Ceilings 80%
2. Roofs 40%
3. Walls 50 to 60%
4. Furnitures 30 to 40%

Correct answer: 2. Roofs 40%

Explanation: (PARK TB 23rd edtn pg 740) Recommended reflection factors include:- - ceilings and roofs - 80% - walls - 50 to 60% - furniture - 30 to 40% - floor not more than 15 to 20%